In Alzheimer's disease, the pathology seen in the brain is -
1. Atrophy of parietal and temporal lobes
2. Atrophy of temporal lobes
3. Atrophy of temporal and occipital lobes
4. Atrophy of parietal and occipital lobes

Correct answer: 1. Atrophy of parietal and temporal lobes

Explanation: Ans. is 'a' i.e., Atrophy of parietal and temporal lobesGross pathology in Alzhiemer's disease:o Diffuse cerebral atrophy of the hippocampus, amygdala and entorhinal cortex.o Enlargement of the ventricles caused by neuronal loss.Grossly the brain shows a variable degree of cortical atrophy marked by widening of the cerebral sulci.These changes are most pronounced in the temporal and parietal lobes: Frontal lobes can also be involved.